Total cholesterol is 300, LDL is 25mg/dl TG is 150 mg/dl. What would be HDL?
1. 125 mg/dl
2. 95 mg/dl
3. 85 mg/dl
4. 245 mg/dl

Correct answer: 4. 245 mg/dl